Osteoarthritis involves all except -
1. Hip
2. Knee
3. PIP
4. Wrist

Correct answer: 4. Wrist

Explanation: Ans. is 'd' i.e., Wrist Joints involved in QAo OA affects certain joints, yet spares others.o Commonly affected joint include Hip, knee, cervical & lumbosacral spine, and first metatarsophalangeal joint.o In Hands, the distal interphalangeal joints (DIP), proximal interphalangeal joints (PIP) and first carpometacarpal joint (base of thumb) are involved while sparing metacarpophalangeal (MCP) joints,o Shoulder joint may be affected but uncommonly.o Usually spared joints are the wrist, elbow, metacarpophlangeal and ankle.o This may simply reflect the fact that some joints are more prone to predisposing abnormalities than others.